Histogram is used to describe -
1. Quantitative data of a group of patients
2. Qualitative data of a group of patients
3. Data collected on nominal scale
4. Data collected on ordinal scale

Correct answer: 1. Quantitative data of a group of patients

Explanation: Ans. is 'a' i.e., Quantitative data of group of patients